Mechanism of action Trilostane ?
1. 11 beta hydroxylase inhibitor
2. 1 alpha hydroxylase inhibitor
3. 3 betahydroxysteroiddehydrgenase inhibitor
4. 7 alpha hydrolase inhibitor

Correct answer: 3. 3 betahydroxysteroiddehydrgenase inhibitor

Explanation: Ans. is 'c' i.e., 3 beta hydroxyl steroid dehydrogenase inhibitor